Which of the following is an aromatase inhibitor ?
1. Tamoxifen
2. Letrozole
3. Danazol
4. Taxane

Correct answer: 2. Letrozole